Which of the following is the most likely adverse effect of metoclopramide
1. Tardive dyskinesia
2. Hyperactivity
3. Hyperthyroidism
4. Hallucinations

Correct answer: 1. Tardive dyskinesia

Explanation: Metoclopramide Adverse effects:- Metoclopramide is generally well tolerated. Sedation, dizziness, loose stools, muscle dystonias (especially in children) are the main side effects. Long-term use can cause parkinsonism, galactor rhoea and gynaecomastia, but it should not be used to augment lactation. No harmful effects are known when used during pregnancy. Though the amount secreted in milk is small, but suckling infant may develop loose motions, dystonia, myoclonus. Ref:- Kd tripathi; pg num:-666